Most important investigation for pericardial effusion –
1. Cardiac catheterization
2. USG
3. Echocardiography
4. X-ray chest

Correct answer: 3. Echocardiography

Explanation: 2 D-echo is the investigation of choice for pericardial effusion.